DMPA is an injectible contraceptive given every -
1. Three weeks
2. Two months
3. Three months
4. Two years

Correct answer: 3. Three months

Explanation: park's textbook of preventive and social medicine 23rd edition. *DMPA has been in use since 1960s.The standard dose is an I'M injection of 150 mg every 3 months.It gives protection from pregnancy in 99% of women for at least 3 months.